About cetirizine all are true except-
1. It is a 2nd generation anti histaminic
2. It is a metabolite of hydroxyzine
3. Good CNS penetration
4. Inhibits release of histamine

Correct answer: 3. Good CNS penetration

Explanation: Ans. is 'c' i.e., Good CNS penetration Cetrizine* Cetrizine is a 2nd generation anti histaminic* It is a metabolite of hydroxyzine with marked affinity for the peripheral H1 receptors,* It penetrates CNS poorly and has mild sedating effect.* It inhibits release of histamine from mast cells and therefore has been used for urticarial and atopic dermatitis.* It is non - arrhythmogenic.